Mucin in mucous cells usually demonstrated by
1. PAP stain
2. H & E stain
3. Mucicarmine stain
4. Mallory stain

Correct answer: 3. Mucicarmine stain